Only congenital cyanotic heart disease with Left Ventricular hypertrophy and Left atrial enlargement
1. Coarctation of Aorta
2. Tricuspid atresia
3. Ebstein's anomaly
4. Transposition of great arteries

Correct answer: 2. Tricuspid atresia

Explanation: Tricuspid atresia→blood from Right atrium to Left atrium→more blood to Left atrium leading to Left atrial enlargement→more blood to left Ventricle leads to left ventricular hypertrophy.